True about gastric juice secretion is?
1. 70% in cephalic phase
2. 20% in cephalic phase
3. Cephalic influences are mainly local
4. Vagal stimulation decreases gastric secretion in cephalic phase

Correct answer: 2. 20% in cephalic phase

Explanation: ANSWER: (B) 20% in cephalic phaseREF: Ganong s 22nd ed p. 484 , Guytons 11th ed p. 834-845Phases of gastric acid secretion:Cephalic phase: Accounts for 20% of secretion and occurs when food is not even in mouth, stimulated by sight or smell of food. The impulses originate in cortex and reach the glands my dorsal motor nuclei and then through vagus nervesGastric phase: Occurs by vago gastric reflexes, enter entero reflexes and by gastrin. It accounts for around 70% (1500 ml)of secretion and occurs when food reaches stomachIII, Intestinal phase: remaining 10% is produced when food is especially in duodenum. It is caused by reflex feed backs.